Increased ventilation at start of exercise is due to-
1. Stretch receptors
2. Proprioceptors
3. Pain receptors
4. | PCO2

Correct answer: 2. Proprioceptors

Explanation: Ans. is 'b' i.e., Proprioceptors o In moderate exercise the abrupt increase in ventilation at the start of exercise is due to psychic stimuli and afferent impulses from proprioceptors in muscles, tendons and joints.o Arterial pH, PCO2 and PO2 remain constant during moderate exercise because increase in ventilation is proportionate to increase in O2 consumption.